A patient is having random plasma glucose levels of 110 mg/ dl and 113 mg/ dl on two separate occasions. What you will advise him:
1. Declare him as having Diabetes mellitus
2. Proceed for oral glucose tolerance test
3. Declare patient as normal
4. Check for Glycosylated hemoglobin and if it is raised, declare him as having DM

Correct answer: 3. Declare patient as normal

Explanation: Ans: C i.e. Declare patient as normal Diagnosis of DM Random plasma glucose levels of more than 200 mg/dl along with symptoms suggesting diabetes, confirms the diagnosis Random plasma glucose ranging between 140-198 mg/dl is an indication to perform oral glucose tolerance test The use of HbA1c for diagnosing diabetes is uncertain. HbAlc is used to monitor glycemic control. The recommended target HbA1c is 7% or less, to minimise the risk of vascular complications So analyzing the options given, RBS values of 110 mg/dl and 113 mg/dl falls in normal range